Omenn syndrome is
1. Squamous cell carcinoma
2. Chronic mucocutaneous candidiasis
3. IgA deficiency
4. SCID

Correct answer: 4. SCID

Explanation: Omenn syndrome is an autosomal recessive form of severe combined immunodeficiency (SCID) characterized by erythroderma (skin redness), desquamation (peeling skin), alopecia (hair loss), chronic diarrhea, failure to thrive, lymphadenopathy (enlarged lymph nodes ), eosinophilia, hepatosplenomegaly , and elevated serum Ref Harrison20th edition pg 1278